Mineralocorticoid receptors are present in all of the following sites, except
1. Hippocampus
2. Kidney
3. Colon
4. Liver

Correct answer: 4. Liver

Explanation: MR is expressed in many tissues, such as the kidney, colon, heart, central nervous system (hippocampus), brown adipose tissue and sweat glands. In epithelial tissues, its activation leads to reabsopion of sodium, and as a consequence an increase in extracellular volume, increase in blood pressure, and an excretion of potassium to maintain a normal salt concentration Ref: guyton and hall textbook of medical physiology 12 edition page number:590,591,592